Which is Not required for visualisation of gall bladder in oral cholecystography:
1. Functioning liver
2. Motor mechanisms of gall bladder
3. Patency of cystic duct
4. Ability to absorb water

Correct answer: 2. Motor mechanisms of gall bladder

Explanation: B i.e. Motor mechanism of Gall bladdar Oral Cholecystography (Graham - Cole - Test) OCG was introduced in 1924 by Graham & Cole. - Na/Ca-Iopanoic acid (TelepaqueQ / Biloptin/ Solubiloptine) dye is used as contrast media. - 3 gmQ of dye is given & X Rays are taken at an interval of 12-15 hours. - USG has replaced itQ.